Common cause of chronic renal failure is-
1. Hypotension
2. Hypertension
3. Diabetes insipidus
4. Malaria

Correct answer: 2. Hypertension

Explanation: Leading categories of Etiologies of CKD- Diabetic nephropathy (most common cause of CKD. ) Glomerulonephritis Hypertension -associated CKD(includes vascular and ischemic kidney disease and primary glomerular disease associated with hypertension ) Autosomal dominant Polycystic kidney disease. Other cystic diseases and tubular nephropathy. Ref:Harrison 20 th edition pg no 2113.table-305-2